Barr body is found in following phase of cell cycle?
1. Interphase
2. Metaphase
3. G1 phase
4. Telophase

Correct answer: 1. Interphase

Explanation: Ans. is 'a' i.e. Interphase Barr body (sex-chromatin)* t is a densely staining inactivated condensed 'X' chromosome that is present in each somatic cells of female. It is found in the nucleus. It is used as a test of genetic femaleness - it is possible to determine the genetic sex of an individual according as to whether there is a chromatin mass present on the inner surface of the nuclear membrane of cells with resting or intermittent nuclei.* Chromatid body (Barr body or sex chromatin) is derived from one of the two X-chromosomes which becomes inactivated. The number of Barr bodies is thus one less than the number of X-chromosomes* It is particularly visible when the cell is in interphase, meaning it is not currently undergoing cell division.